Hapsburg jaw refers to:
1. Class 3 malocclusion
2. Class 2 malocclusion
3. Posterior cross bite.
4. Anterior cross bite

Correct answer: 1. Class 3 malocclusion